What is tympanoplasty -
1. Eradication of middle ear disease with reconstruction of tympanic membrane & ossicles
2. Eradication of disease from internal ear
3. Repair of tympanic membrane only
4. Repair of ossicle only

Correct answer: 1. Eradication of middle ear disease with reconstruction of tympanic membrane & ossicles

Explanation: Ans. is 'a' i.e., Eradication of middle ear disease with reconstruction of tympanic membrane & ossicles Tympanoplastyo Tympanoplasty is the surgical operation performed for reconstruction of tympanic membrane and/or middle ear ossicles.o Myringoplasty is the reconstruction of tympanic membrane.o Ossiculoplasty is the reconstruction of ossicular chain.Tympanoplasty = Myringoplasty +- ossiculoplasty